Absolutely contra indicated anti-hypertensive drug in pregnancy is
1. Enalapril
2. Diazoxide
3. Atenolol
4. Nifedipine

Correct answer: 1. Enalapril

Explanation: Ans. is 'a' i.e., Enalapril